Ring sideroblasts are characteristically seen in:
1. Myelodysplastic syndrome (MDS)
2. Acute Lymphoid Leukemia (ALL)
3. Acute Myeloid Leukemia (AML)
4. Anemia of chronic disease

Correct answer: 1. Myelodysplastic syndrome (MDS)

Explanation: Ring sideroblasts are characteristically seen in MDS. Ref: Harrison's Principles of Internal Medicine, 16th Edition, Pages 624-25; Manual of Practical Medicine By R Alagappan, 3rd Edition, Pages 352-3